All of the following muscles are paralyzed in trauma to median nerve at the, wrist except -
1. Adductor pollicis
2. Abductor pollicis
3. First two lumbicals
4. Muscles of the Thenar eminence

Correct answer: 1. Adductor pollicis

Explanation: Median nerve supply in hand
-        Flexor pollicis brevis
-        Opponens pollicis
-        Abductor pollicis brevis
-        First two lumbricals